Rosenthal fibres are seen in which of the following tumor?
1. Pilocytic astrocytoma
2. Glioblastoma
3. Medulloblastoma
4. Ependymoma

Correct answer: 1. Pilocytic astrocytoma

Explanation: On microscopic examination of pilocytic astrocytoma, the tumor is composed of bipolar cells with long, thin "hairlike" processes that are GFAP-positive and form dense fibrillary meshworks. Rosenthal fibers and eosinophilic granular bodies, are often present.